Testosterone is secreted by-
1. Leydig cells
2. Sertoli cells
3. Seminiferous tubules
4. Epididymis

Correct answer: 1. Leydig cells

Explanation: Ans. is 'a' i.e., Leydig cells * Leydig cells have receptors for LH and secrete androgens, i.e. Testosterone, dihydrotestosterone (DHT), androstenedione, and dehydroepiandrosterone (DHEA).* Sertoli cells have receptors for FSH and secrete ABP, inhibin and MIS. sertoli cells also have receptor for testosterone.